The drug that is contraindicated in angle closure glaucoma is:
1. Pilocarpine
2. Atropine
3. Dorzolamide
4. Timolol

Correct answer: 2. Atropine